Alpha fetoprotein is not raised in which testicular tumor
1. Choriocarcinoma
2. Tearatacarcinoma
3. Yolk sac tumor
4. Embryonal cell carcinoma

Correct answer: 1. Choriocarcinoma

Explanation: AFP is a marker of hepatocellular cancer and non seminatous germ cell tumors of testes Non seminomatous germ cell tumors may be embryonal carcinoma yolk sac tumor, choriocarcinoma or teratoma Refer Robbins page no 9/e 978